In Hansen's disease, the nerve commonly affected at elbow is:
1. Ulnar nerve
2. Median nerve
3. Radial nerve
4. Musculocutaneous nerve

Correct answer: 1. Ulnar nerve

Explanation: Ans. A: Ulnar Nerve The primary factor responsible for deformities in leprosy is involvement of peripheral nerves. Nerves which may be affected are: Supra orbital n. Facial n. Great auricular n. Supra clavicular n. (rare) Radial n. Ulnar n. Radial cutaneous n. Median n. Femoral cutaneous n. (rare) Lateral popliteal (common peroneal) n. Superficial peroneal n. Sural n. Posterior tibial n. The commonly affected nerves are (in order of their frequency of affection): Ulnar nerve at elbow Median nerve above the wrist Common peroneal nerve at the knee resulting in foot drop.